Indirect retainers of a partial denture:
1. Engages undercut areas
2. Most effective when close to direct retainers
3. Must be constructed with flexible materials like plastics
4. Should resist rotatory forces about a fulcrum

Correct answer: 4. Should resist rotatory forces about a fulcrum